Most common viruses isolated from herpangina are:
1. CVA
2. CVB
3. Echoviruses
4. EV71

Correct answer: 1. CVA

Explanation: The word herpangina derives from herpes, meaning “vesicular eruption,” and angina, meaning “inﬂammation of the throat.” 
CVA (Coxsackievirus A) (serotypes 1–10, 16, and 22) are the most common viruses isolated from this disease. 
But CVB1–5, 91,102 echoviruses, and EV71 have also been identiﬁed in this condition.